All of the following are sexually transmited, except
1. Candida albicans
2. Echionococcus
3. Molluscum contagiosum
4. Group B streptococcus

Correct answer: 2. Echionococcus